Estrogen receptors are present in
1. Osteoblasts
2. Osteoclasts
3. Osteocytes
4. All of the above

Correct answer: 4. All of the above

Explanation: Estrogen receptors are present in osteoclasts, osteoblasts and osteocytes.